In rape cases, in camera trial is conducted under:-
1. Sec . 164 (A) cr P C
2. 327 crPC
3. Sec 357 (C) Cr PC
4. 54 (A) CrPC

Correct answer: 2. 327 crPC

Explanation: 327 (c) CrPC : Trial of rape case are to be held in-camera by a woman Judge/ Magistrate if available, and allowed the printing or publication of proceedings in rape cases subject to maintaining anonymity of the parties .